Box shaped heart is seen in which of the following condition:
1. Coaractation of aorta
2. Pericardial effusion
3. Tetralogy of fallot
4. Ebstein anomaly

Correct answer: 4. Ebstein anomaly

Explanation: Ans. (d) Ebstein anomalyRef: Pediatric radiology 1st ed/57* Ebstein anomaly is a congenital heart defect in which the septal and posterior leaflets of the tricuspid valve are displaced towards the apex of the right ventricle of the heart.* It causes atrialization of right ventricle.Radiographic Features In Different Congenital Heart Diseases:* Figure of '8' appearance or Snowman appearance: TAPVR (type I)* Egg on its side" or "Apple on a stem" appearance: TGA* Boot-shaped Heart" /Classic coer en sabot: TOF* Box/Balloon shaped heart: Ebstein Anomaly* '3 sign' on CXR: Coaractation of Aorta